Eisenmenger syndrome is characterized by all except –
1. Return of left ventricle & right ventricle to normal size
2. Pulmonary veins not distended
3. Pruning of peripheral pulmonary arteries
4. Dilatation of central pulmonary arteries

Correct answer: 1. Return of left ventricle & right ventricle to normal size

Explanation: Eisenmenger syndrome is associated with severe pulmonary arterial hypertension and right ventricular hypertrophy.
The right ventricular size will certainly not return to normal once eisenminger syndrome develops.
Chest X-ray in Eisenmenger syndrome

Dilated and prominent central arteries.
Rapid tapering (pruning) of the peripheral pulmonary vasculature.
The hilar (central) area suggests pulmonary plethora whereas the peripheral lung fields suggest pulmonary oligemia.

Clinical manifestations of Eisenmenger syndrome

Symptoms --> Cyanosis (Differential cynosis in PDA), fatigue, effort intolerance and dyspnea.
Physical examination


Cyanosis and clubbing                                           ❑ Parasternal impulse (more in ASD)


Palpable P2             ❑ Wide and fixed splitting of S2 in ASD


Pulmonary regurgitation murmur.    ❑ Normal splitting of S2 in PDA
Ejection systolic murmur (pulmonic).             o Single S, or paradoxical splitting in VSD ECG


Right ventricular hypertrophy with right axis deviation.
'P' pulmonale.